Brodel's line is seen in:
1. Heart
2. Spleen
3. Kidney
4. None of the above

Correct answer: 3. Kidney

Explanation: Brodel (1911) described a relatively avascular longitudinal zone (the 'bloodless' line of Brodel) along the convex renal border, which was proposed as the most suitable site for surgical incision. However, many vessels cross this zone, and it is far from 'bloodless'. Ref: Gray's anatomy 40th edition, Chapter 91.